Which of the following acts as an acute phase reactant?
1. Se iron
2. Se ferritin
3. TIBC
4. % of saturation

Correct answer: 2. Se ferritin

Explanation: Ans: b (Serum ferritin) Ref: Rob7th ed, p. 84-85Acute phase reactants: They are a group of plasma proteins which rise during inflammation and trauma.Endotoxin (during an infection) stimulates the release of IL-1 from the Kupffer cells which leads to enhanced hepatic synthesis of the protein.Eg:FerritinHaptoglobulinCRPAlpha -1 - antitrypsinFibrinogen CeruloplasminAlpha -2- macroglobulinOf the most important is the C - reactive protein.It can activate the compliment by binding to some bacteria. Hence it performs a useful opsonizing effect.CRP is used as an index of severity of illness E.g.: acute pancreatitisConditions inducing acute phase response:Trauma, surgery, bumsInfectionInflammation- RA,spondyloarthitis (sero neg)VasculitisCrohn diseaseMalignancy